Pernicious anemia is due to -
1. Iron deficiency
2. Atrophic gastritis
3. Low folic acid
4. None

Correct answer: 2. Atrophic gastritis